Vasa previa in a term gestation is managed by __________
1. Rapid induction and delivery by vaccum
2. Rapid induction and delivery by forceps
3. Immediate LSCS
4. Adopt vagos method and rapid vaginal delivery

Correct answer: 3. Immediate LSCS

Explanation: Vasa Pre in a term gestation is managed by immediate LSCS. Management of vasa pre: Confirmed vasa pre not bleeding: Admit at 28-32 weeks, plan elective CS depending on fetal lung maturity Bleeding vasa pre: Delivery should be done by category 1 Emergency CS. (Categories based on urgency such as emergency, urgency, scheduled, elective) Neonatal blood transfusion may be needed. Vagos method: It is a management technique used in Umbilical cord prolapse, where Foley catheter is placed and the bladder provides upward pressure on the fetus, thus alleviating the compression on the cord. Ref: DC Dutta's Textbook of Obstetrics 8th edition Pgno: 301